True about carotid body receptors ?
1. Most potent stimulus is high PCO2
2. Dopamine is neurotransmitter
3. Low blood flow
4. Afferent through vagus nerve

Correct answer: 2. Dopamine is neurotransmitter

Explanation: Ans. is 'b' i.e., Dopamine is neurotransmitter Peripheral chemoreceptors The peripheral chemoreceptors which regulate respiration are located in the carotid body and aortic bodies. These bodies are located in the connective tissue associated with the vessel wall, at the bifurcation of the common carotid, and on the arch of aorta, respectively. The characteristic cells of both these structures are called glomus cells. Type I glomus cells have a high dopamine content, which they possibly employ as a neurotransmetter. Peripheral chemoreceptors convey information to the DRG of neurons in medulla, for which purpose the afferent neurons from the carotid bodies pass through glossopharyngeal nerve and from the aortic bodies pass through vagus nerve. The most potent natural stimulus for peripheral chemoreceptors is low arterial P02 (hypoxic hypoxia). The other stimuli which activate peripheral chemoreceptors are high arterial PCO2, and an increase in arterial hydrogen ion concentration (acidosis or low pH). The response to activation of peripheral chemoreceptors is an increase in pulmonary ventilation through an increase in the rate and depth of breathing. The blood flow to peripheral chemoreceptors, on per unit mass basis, is the highest to any tissue in the body. With a blood flow of 2000 ml/min/100 gm tissue, the carotid and aortic bodies, inspite of their high metabolic rate, hardly remove any oxygen from the blood supplies to them. That is why the arteriovenous oxygen difference is negligible in these bodies. Thus these structures are idealy built to sense change in arterial P02. It is good to keep in mind that stimulation of peripheral chemoreceptors not only stimulates medullary respiratory centers but also medullary vasomotor center. Therefore, the response to their stimulation is tachycardia, vasoconstriction and increase BP along with hyperventilation.